Most common cause of Carcinomatous meningitis-
1. Carcinoma breast
2. Carcinoma lung
3. Carcinoma gut
4. Malignant melanoma

Correct answer: 1. Carcinoma breast

Explanation: Ans is 'a' i.e. Carcinoma breasto Carcinoma breast in the most common cause of carcinomatous men incites